Side effect of minoxidil which is used as therapeutic use?
1. Bradycardia
2. Hair growth
3. Gynecomastia
4. Vasodilation

Correct answer: 2. Hair growth

Explanation: Ans. B. Hair growthMinoxidil is arteriolar dilator. Its peculiar side effect is hair growth which is used in patients suffering from alopecia.